Robert Koch assistant advised him to use agar instead of gelatin for solidifying culture media for cultivation of bacteria because
1. Agar has more nutrients
2. Gelatin melts at 37oC
3. Gelatin is not easily available
4. Agar is cheaper

Correct answer: 2. Gelatin melts at 37oC

Explanation: Gelatin was the substance originally used to gel culture media. However, gelatin is liquid at 35oC., the optimum temperature for many bacteria. In addition, some bacteria are capable of liquifying the gelatin, making it an unsuitable solidifying agent. Agar has neither of these drawbacks. Agar is preferred over gelatin, as it is bacteriologically inert, melts at 98degC and usually solidifies at 42degC.